Investigation of choice in detecting small para-aortic lymph node is
1. Ultrasound scan
2. CT scan
3. Lymphangiography
4. Arteriography

Correct answer: 2. CT scan

Explanation: Investigation of choice in detecting small para-aortic lymph node: CT scan